Fetus was found to have a congenital heart block (CHB), what should be evaluated in the mother?
1. SLE
2. APLA
3. Diabetes mellitus
4. Haemolytic anemia

Correct answer: 1. SLE

Explanation: SLE is Pregnancy- SLE - causes - multi organ damage in the mother and antibodies against the antigens blood circulation enter the fetus causing multiple problems to the fetus mainly congenital heart block CHB is the most serious complication of neonatal lupus erythematosus. Transplacental transfer of maternal anti - SSA/RO or anti- SSB/LA antibodies is associated with development of CHB. CHB is mostly diagnosed between 18 -24th weeks of gestation.